A patient with which of the follwing disease is predisposed to develop osteosarcoma -a)  Osteomalaciab)  Osteomyelitisc)  Paget's disease of boned)  Osteopetrosis
1. a
2. c
3. bc
4. ad

Correct answer: 3. bc

Explanation: Osteosarcoma (osteogenic sarcoma - OGS) 

Osteosarcoma is primary malignant bone tumor of bone, derived from primitive bone forming mesenchyma and characterized by osteoid formation.
It is of two types


Primary
Secondary


Paget disease
Radiation
Fibrous dysplasia
Enchondromatosis
Multiple osteochondroma
Bone infarction
Chronic osteomyelitis